Mechanism of action of aminoglycosides is -
1. Inhibition of protein synthesis
2. Image to cell membrane
3. Coagulation of proteins
4. Inhibition of cell wall synthesis

Correct answer: 1. Inhibition of protein synthesis

Explanation: Ans. is 'a' i.e., Inhibition of protein synthesis BactericidalBacteriostaticProtein synthesis inhibitorsAminoglycosides, StreptograminsTetracycline, chloramphenicol Macrolides, Lincosamides Linazolide Continued...Cell wall synthesis inhibitorsPenicillin, cephalosporins, Vancomycin, Bacitracin, Cycloserine, Fosfomycin Drugs acting on cell membranePolypeptide - Polymixin B, colistin, tyrothricin AntitubercularINH, Rifampicin, Pyrazinamide streptomycinEthambutolDrugs affecting intermediary metabolismCombination of two drugs may be bactericidal, e.g. cotrimoxazoleSulfonamide, Trimethoprim, ethambutolDrugs affecting DNAQuinolones, metronidazoleNitrofurantoin, Novobiocin